Kyasanur forest disease is transmitted by:
1. Mite
2. Tick
3. Mosquito
4. None

Correct answer: 2. Tick

Explanation: Ans. B: TickVector for KFD in India is hard tick (Haemophysalis spinigera)Kyasanur Forest Disease/ KFDIt is a tick-borne viral hemorrhagic fever endemic to South Asia.The disease is caused by a virus belonging to the family flaviviridae, which also includes yellow fever and dengue fever.There are a variety of animals thought to be reservoir hosts for the disease, including porcupines, rats, squirrels, mice and shrews.The vector for disease transmission is Haemaphysalis spinigera, a forest tick.Humans contract infection from the bite of nymphs of the tick.The disease has a morbidity rate of 2-10%, and affects 100-500 people annually.The symptoms of the disease include a high fever with frontal headaches, followed by haemorrhagic symptoms, such as bleeding from the nasal cavity, throat, and gums, as well as gastrointestinal bleeding.An affected person may recover in two weeks time, but the convalescent period is typically very long, lasting for several months.There will be muscle aches and weakness during this period and the affected person is unable to engage in physical activitiesProphylaxis by vaccination, as well as preventive measures like protective clothing, tick control, and mosquito control are advised.An attenuated live vaccine is now available.Specific treatments are not available